Rx of latent syphilis-
1. Penicillin
2. Erythromycin
3. Tetracycline
4. Ciprofloxacin

Correct answer: 1. Penicillin

Explanation: Stage of Syphilis Patients without Penicillin Allergy Patients with Confirmed Penicillin Allergy Primary, secondary, or early latent CSF normal or not examined: Penicillin G benzathine(single dose of 2.4 mU IM)CSF abnormal: Treat as neurosyphilis CSF normal or not examined: Tetracycline HCl(500 mg PO qid) or doxycycline (100 mg PO bid)for 2 weeksCSF abnormal: Treat as neurosyphilis Late latent (or latent of unceainduration), cardiovascular, or benignteiary CSF normal or not examined: Penicillin G benzathine(2.4 mU IM weekly for 3 weeks)CSF abnormal: Treat as neurosyphilis CSF normal and patient not infected with HIV:Tetracycline HCl (500 mg PO qid) or doxycycline(100 mg PO bid) for 4 weeksCSF normal and patient infected with HIV:Desensitization and treatment with penicillin if compliancecannot be ensuredCSF abnormal: Treat as neurosyphilis (Harrison's Principles of internal medicine, 20 th edition, page 1387)